Which of the following is not the criteria for diagnosis of Metabolic syndrome?
1. Hypertension
2. Central obesity
3. Hypertriglyceridemia
4. High LDL

Correct answer: 4. High LDL

Explanation: Metabolic syndrome/Syndrome X: Central obesity: Waist circumference >102cm in males,>88cm in females. Hypertriglyceridemia: >150mg% Low HDL cholesterol: <40mg%I(male), <50mg% (female) Hypertension: >130/80 mmHg Fasting blood glucose >100 mg% / previously diagnosed type 2 diabetes. NOTE:Raised LDL is NOT a feature of Metabolic syndrome.